Malignant hydatidosis is caused by
1. Echinococcus granulosus
2. Echinococcus multilocularis
3. Echinococcus vogelli
4. Echinococcus oligarthus

Correct answer: 2. Echinococcus multilocularis